Acidosis in shock is best treated by-
1. Increased ventilation
2. Volume resuscitation
3. O2 support
4. i.v. soda bicarbonate

Correct answer: 2. Volume resuscitation

Explanation: Shock associated lactic acidosis is the primary, but not exclusive, cause of metabolic acidosis in the shock state. Shock is defined as a clinical state of acute circulatory failure with inadequate oxygen utilization and/or delivery by the cells which results in cellular dysoxia or hypoxia. It's treated by volume resuscitation Ref Davidson 23rd edition pg 345